According to biomedical waste rule 2016, incineration/deep burial/plasma pylorysis is done for bag having colour code:
1. Blue
2. Red
3. Yellow
4. White

Correct answer: 3. Yellow

Explanation: C. YellowTable 5: Biomedical waste rule 2016 guidelineCat.Type of Bag/ Container usedType of WasteTreatment /DisposaloptionsYellownon-chlorinated plastic bags Separate collection system leading to effluent treatment systema) Human Anatomical Wasteb) Animal Anatomical Wastec) Soiled Wasted) Expired or Discarded Medicinese) Chemical Wastef) Micro, Bio-t and other clinical lab wasteg) Chemical Liquid WasteIncineration or Plasma Pyrolysis or deep burialRednon-chlorinated plastic bags or containersContaminated Waste (Recyclable) tubing, bottles, intravenous tubes and sets, catheters, urine bags, syringes (without needles) and gloves.Auto/ Micro/ Hydro and then sent for recycling, not be sent to landfill.White(Translucent) Puncture, Leak, tamper proof containersWaste sharps including MetalsAuto or Dry Heat sterilization followed by shredding or mutilation or encapsulationBlueCardboard boxes with blue colored markingGlasswareDisinfection or auto/ Micro/hydro and then sent for recycling.